Impression material of choice in patients with oral submucous ﬁbrosis is:
1. ZOE paste
2. Addition silicone
3. Condensation silicone
4. Impression plaster

Correct answer: 2. Addition silicone

Explanation: In OSMF patients as the mucosa is fibrosed, one needs to take proper care during impression:

ZOE would be irritating to fibrosed tissues.
Impression plaster has poor handling properties and flow.
Condensation silicone is dimensionally less stable than addition silicone due to by-product formation.
Addition silicone is the best suited material due to its dimensional stability, flow and handling properties. It is non-irritating to the tissues.